Chalcosis is caused by
1. Iron
2. Lead
3. Copper
4. Mercury

Correct answer: 3. Copper

Explanation: “Chalcosis refers to specific changes made by copper containing alloys in eye” Features of chalcosis are:
√ KF rings on descement membrane of cornea
√ Sunflower cataract
√ Golden brown metallic sheen plaques on the retinal pole